Stop codon:
1. UAG
2. UCA
3. UAC
4. AUG

Correct answer: 1. UAG

Explanation: A i.e. UAG